A 32 year old high altitude mountaineer is observed to have a hematocrit of 70 percent. Which of the following represents the most likely cause/explanation
1. Polycythemia with increased red cell mass
2. Relative Polycythemia due to dehydration
3. Polycythemia due to hemoconcentration
4. Polycythemia with high altitude pulmonary edema

Correct answer: 1. Polycythemia with increased red cell mass

Explanation: Polycythemia is usually seen in people living and high altitude and red blood cell mass is also increased Ref: guyton and hall textbook of medical physiology 12 edition page number:375,376,377